The non sedative antihistamines are all EXCEPT one :
1. Fexofenadine
2. Desloratidine
3. Levocetirizine
4. Cinnarizine

Correct answer: 4. Cinnarizine